In which of the following uveitic conditions is it contraindicated to put in an intraocular lens after cataract surgery?
1. Psoriatic arthritis
2. Reiter's syndrome
3. Fuch's heterochromic cyclitis
4. Juvenile rheumatopid arthritis

Correct answer: 4. Juvenile rheumatopid arthritis

Explanation: Currently, except uveitis associated with juvenile rheumatoid arthritis, no other condition is considered a contraindication for intraocular lens placement following cataract surgery. Ref: Phacoemulsification Surgery By Vajpayee, Page 325; Comprehensive Ophthalmology By A K Khurana, 4th Edition, Pages 141-5.